Antlepileptic of choice in Post diabetic Peripheral neuropathy?
1. Pregabalin
2. Amitryptylene
3. Carbamazepine
4. Duloxetine

Correct answer: 1. Pregabalin

Explanation: K.D Tripathy essentials of medical pharmacology 7th edition *pergabalin is indicated in seizure disorders and is particularly used for neuropathic pain such as diabetic neuropathy,postherapetic neuralgia,complex regional pain syndrome,and in other type of chronic pain.